True about morula is
1. 8-cell stage
2. 16-cell stage
3. 32-cell stage
4. 64-cell stage

Correct answer: 2. 16-cell stage

Explanation: Inderbir Singh's Human embryology; Tenth edition; Pg 50Arts cleavage proceeds, the ovum comes to have 16 cells. It now looks like a mulberry and is called the morula